Vitamin used in the treatment of hyperlipoproteinemia:
1. Vitamin B1
2. Vitamin B6
3. Niacin/ Nicotinic acid
4. Vitamin B12

Correct answer: 3. Niacin/ Nicotinic acid

Explanation: Ans: C i.e. Niacin/ Nicotinic acid Immediate release niacin is effective at lowering cholesterol levels, and has minimal hepatotoxic side effects due to its rapid elimination from the body.